Protein-A of S.Aureus binds to Fc region of
1. IgD
2. IgE
3. IgG
4. IgA

Correct answer: 3. IgG

Explanation: Protein-A binds to Fc region of IgG - basis of coagglutination reaction.